Which one of the following cell types are found in the least numbers in the pituitary?
1. Lactotrophs
2. Thyrotrophs
3. Gonadotrophs
4. Corticotrophs

Correct answer: 2. Thyrotrophs

Explanation: Lactotroph-Prolactin cell (also known as epsilon acidophil, lactotrope, lactotrophic cell, lactotroph, mammatroph, mammotroph) is a cell in the anterior pituitary which produces prolactin Thyrotropes (also called thyrotrophs) are endocrine cells in the anterior pituitary which produce thyroid stimulating hormone (TSH) in response to thyrotropin-releasing hormone (TRH).Gonadotropes are endocrine cells in the anterior pituitary that produce the gonadotropins, such as the follicle-stimulating hormone (FSH) and luteinizing hormone (LH).Corticotropes (or corticotrophs) are basophilic cells in the anterior pituitary that produce melanocyte-stimulating hormone, adrenocorticotropic hormone (ACTH) and lipotropin.Ref: Ganong's review of medical physiology; 24th edition; page no:-325